Ecbolics are the drugs which
1. Cause uterine contraction
2. Increase menstrual blood flow
3. Increases sweating
4. Causes vomitting

Correct answer: 1. Cause uterine contraction

Explanation: Ecbolics: They increase uterine contractions, e.g. ergot preparations, synthetic estrogens, pituitary extract, strychnine or quinine. Ref - Krishan Vij textbook of forensic medicine and toxicology 5e pg - 383